Chronotrophic means:
1. Drugs affecting the contractility of heart
2. Drugs affecting heart rate
3. Drugs affecting the myocardial blood flow
4. Drugs affecting diastolic relaxation

Correct answer: 2. Drugs affecting heart rate

Explanation: Ans. B: Drugs affecting heart rate Chronotropic effects are those drugs that change the heart rate. Chronotropic drugs may change the heart rate by affecting the nerves controlling the heart, or by changing the rhythm produced by the sinoatrial node. Positive chronotropes increase heart rate; negative chronotropes decrease heart rate. A dromotrope affects Atrioventricular node (AV node) conduction. A positive dromotrope increases AV nodal conduction, and a negative dromotrope decreases AV nodal conduction. A lusitrope is an agent that affects diastolic relaxation. Inotropes affects contractility of the heart. Chronotropic variables in systolic myocardial performance can be split left and right. Left sided systolic chronotropy can be appreciated as Aortic Valve open to close time. Right sided variables are represented by Pulmonary valve open to close time. Inverted as diastolic chronotropy, the variables are aortic valve close to open and pulmonic close to open time.